Secondary level of prevention include all of the following except:-
1. Health screening for diabetes mellitus
2. Case finding for falciparum malaria
3. Contact tracing for STIs
4. Reconstructive surgery in leprosy

Correct answer: 4. Reconstructive surgery in leprosy

Explanation: Secondary level of prevention: - Disease has possibly set in the body ; Early diagnosis & treatment should be done. - All screening & diagnostic tests comes under Secondary level of prevention. - Hence, health screening for diabetes mellitus, case finding for falciparum malaria and contact tracing for STIs represent Secondary level of prevention. - Reconstructive surgery in leprosy aims to rehabilitate the patient; thus it is a form of Tertiary level of prevention.